Which is the most common causative agent of gas gangrene?
1. Cl. histolyticum
2. Cl. novyi
3. Cl. septicum
4. Cl. perfringens

Correct answer: 4. Cl. perfringens

Explanation: Clostridium perfringens is the most common causative agent of gas gangrene. Gas gangrene: Established agents: C. perfringens (Most Common, 60-80%) and C. novyi and C. septicum (20-40%). Probable agents: C. histolyticum, C. sporogenes, C. fallax, C. bifermentans, C. sordellii, C. aerofoetidum and C. tertium.